In a case of Kala-azar aldehyde test becomes positive after
1. 2 weeks
2. 4 weeks
3. 8 weeks
4. 12 weeks

Correct answer: 4. 12 weeks

Explanation: In the Kala-azar endemic areas of India, Napier's aldehyde test has been used for a long time. The test relies on the jellification caused by the binding of the serum globulins to the formaldehyde About 85 per cent of patients with disease of 3 months or more gives positive reaction.TEXTBOOK OF MEDICAL PARASITOLOGY, BAVEJA,3RD EDITION, PAGE NO 42